In  a  DNA, the coding region reads  5’-CGT-3’. The RNA code will be:
1. 5’-CGU-3’
2. 5’-GCA-3’
3. 5’-ACG-3’
4. 5’-UGC-3’

Correct answer: 1. 5’-CGU-3’

Explanation: As the question specifies that it is coding region, so the RNA product is same as coding region except in the case of T replaced by U.
Reference-Haper 30th edition Pg-395